Best graft for femoropopliteal bypass -
1. Dacron
2. Saphenous vein
3. PTFE
4. None

Correct answer: 2. Saphenous vein

Explanation: Ans. is 'b' i.e.. Saphenous vein o Dacron is the femoral material for aortiliac work, it gives excellent results. For bypass in the femoropopliteal region, if autogenous vein is not available, PTFE or glutaraldehyde-tanned, Dacron-supported, human umblical vein may be employed.